he brilliantly transilluminant tumour in the neck may be -
1. Branchial cyst
2. Thyroglossal cyst
3. Sternomastoid tumour
4. Cystic hygroma

Correct answer: 4. Cystic hygroma

Explanation: Ans. is 'd' i.e., Cystic hygroma